Sign of chronic inflammation -
1. Angiogenesis
2. Purulent exudate
3. Induration
4. Edema

Correct answer: 1. Angiogenesis

Explanation: Ans. is 'a' i.e. Angiogenesis Chronic inflammation is characterized byo Infiltration with mononuclear cells, which include - macrophages, lymphocytes, and plasma cellso Tissue destruction, induced - the persistent offending agent or by the inflammatory cellso Attempts at healing - connective tissue replacement of damaged tissue, accomplished by angiogenesis (proliferation of small blood vessels) and, in particular, fibrosis.